Bony nasal septal perforation is seen in?
1. Tuberculosis
2. Syphilis
3. Leprosy
4. Rhinosporidiosis

Correct answer: 2. Syphilis

Explanation: Ans. (b) SyphilisRef: Dhingra 5thed p.166